Most common cause of pancreatitis is
1. Idiopathic
2. Iatrogenic
3. Gall stones
4. Alcohol

Correct answer: 3. Gall stones

Explanation: MCC of pancreatitis is gallstones.
2nd MCC of pancreatitis is Alcohol.